Ectopic sebaceous glands are present at :
1. Buccal mucosa
2. Lip
3. Orbit.
4. All of the above.

Correct answer: 4. All of the above.

Explanation: Fordyce's granules are ectopic sebaceous glands that appear as small yellow spots, found frequently in a bilaterally symmetrical pattern on the buccal mucosa, labial mucosa, vermilion border of the lips, retromolar region and occasionally on the tongue, gingival, frenum and palate. Ectopic sebaceous glands are also found in the esophagus, female and male genitalia, nipples, palms and soles, parotid gland, larynx and the orbit.